In obstruction of second part of axillay artery, the anostomosis between the following artery will maintain the blood supply of upper limb?
1. Deep branch of transverse cervical artery & subscapular artery
2. Anterior & posterior circumflex humeral
3. Posterior circumflex humeral & circumflex scapular artery
4. Suprascapular & anterior circumflex humeral artery

Correct answer: 1. Deep branch of transverse cervical artery & subscapular artery

Explanation: Formed by branches of- Subclavian artery - first part - Suprascapular artery - Deep branch of transverse cervical artery Axillary artery - third part - Subscapular artery & its circumflex scapular branch There are other smaller anastomoses over the acromion process, which also helps to maintain .flow to arm. (BDC Vol I, 4/e, p 82) Anastomoses over the acromion process Formed by - a)Acromial br. of thoraco-acromial artery b)Acromial br. of suprascapular artery c)Acromial br. of posterior circumflex humeral artery The subscapular artery also forms anastomoses with intercostal arteries